Major basic proteins are produced by?
1. Lymphocyte
2. Eosinophil
3. Neutrophil
4. Basophil

Correct answer: 2. Eosinophil

Explanation: Eosinophils have a granule that contains major basic protein (MBP)
Proteoglycan 2, (natural killer cell activator, eosinophil granule major basic protein), also known as PRG2, is a protein which in humans is encoded by the PRG2 gene.
It is a potent enzyme against helminths. The eosinophil major basic protein also causes the release of histamine from mast cells and basophils and activates neutrophils and alveolar macrophages.